All are good prognostic factors for neuroblastoma except -
1. Trk-A expression absent
2. Absence of 1 p loss
3. Absence of 17 p gain
4. Absence of 11 q loss

Correct answer: 1. Trk-A expression absent

Explanation: Ans. is 'a' i.e., Trk-A expression absent